A patient with hereditary fructose intolerance is deficient in which of the following enzyme-
1. Aldolase B
2. Fructokinase
3. Triokinase
4. All of the above

Correct answer: 1. Aldolase B